Man is both intermediate and definitive host for
1. T. solium
2. T. saginata
3. D. latum
4. Dicroftis hominis

Correct answer: 1. T. solium